Ground glass appearance is not seen in –
1. Hyaline membrane disease
2. Left to right shunts
3. Pneumonia
4. Obstructive TAPVC

Correct answer: 2. Left to right shunts

Explanation: Ground grass appearance is seen in right to left shunt (not in left to right shunt).
All other options, pneumonia (interstitial pneumonia), HMD, and obstructive TAPV, can cause ground glass appearance.